The enzyme involved in the metabolism of clopidogrel and proton pump inhibitors is:
1. CYP 2A
2. CYP 2B
3. CYP 2C19
4. CYP 2C20

Correct answer: 3. CYP 2C19

Explanation: Ans. C. CYP 2C19a. CYP2C19 has an important function in the metabolism of clopidogrel to its active metabolite, although other members of the CYP family also are involved, (e.g. CYP3A4, CYP3A5, CYP2B6, CYP1A2)b. Omeprazole is a microsomal enzyme inhibitor. It can inhibit the CYP2C19 cytochrome. This cytochrome is responsible for activation of an antiplatelet drug Clopidogrel. Inhibition of CYP2C19 may result in failure of Clopidogrel therapy